Stress hyperglycemia occurs due to all except -
1. Increased level of ACTH
2. Increased level of cortisol
3. Decreased level of norepinephrine
4. Insulin resistance

Correct answer: 3. Decreased level of norepinephrine

Explanation: Ans. C. Decreased level of norepinephrineStress Hyperglycemia:Suppression of insulin secretion coupled with increased secretion of glucagon, growth hormone, glucocorticoids (cortisol), and catecholamines (epinephrine ,norepinephrine) leads to hyperglycemia.